All can cause high anion gap acidosis except
1. Ethylene glycol
2. Starvation
3. Diabetic ketoacidosis
4. Glue-sniffing

Correct answer: 4. Glue-sniffing